Increased functional demand on the heart produces increased size of the myocardium by:
1. Hyperplasia
2. Hypertrophy
3. Calcification
4. Fatty infiltration

Correct answer: 2. Hypertrophy